Which cerebellar component would be abnormal in a degenerative disease that affected spinal sensory neurons?
1. Purkinje cells
2. Mossy fibers
3. Parallel fibers
4. Climbing fibers

Correct answer: 2. Mossy fibers

Explanation: Ans. B. Mossy fibersSpinal input, such as from the spinocerebellar tracts, enters the cerebellum on the mossy fibers. The climbing fibers originate from the inferior olivary nucleus of the medulla (the olivo-cerebellar tract). The other components are intrinsic to the cerebellum.Diagram of neural connections in the cerebellum. Plus (+) and minus (-) signs indicate whether endings are excitatory or inhibitory. BC, basket cell; GC, Golgi cell; GR, granule cell; NC, cell in deep nucleus; PC, Purkinje cell.